All are true about autism EXCEPT:
1. Age between 18-24 months
2. Child is able to interact
3. Repetitive behavior is seen
4. Language is not well developed

Correct answer: 2. Child is able to interact

Explanation: ANSWER: (B) Child is able to interactREF: Kaplan & Sadocks Synopsis of Psychiatry 10tEl Edition p. 1194, Current Diagnosis & Treatment in Psychiatry Chapter 37Major Diagnostic Features of Dsm-iv Pervasive Developmental DisordersFeatureAutisticDisorderAsperger'sDisorderChildhoodDisintegrativeDisorderRett'sDisorderPervasive Developmental Disorder NOSSocial impairment+++++Language or communication disorder+ +++Repetitive interests and activities+++++Onset prior to 36 months+ + Average intelligence + Period of normal development +-t- Loss of skills in several areas +